Statement not true about erythema nodosum is
1. Seen over anterior aspect of the leg
2. Non tender nodules
3. More common in females
4. Involution occurs in three to six weeks

Correct answer: 2. Non tender nodules

Explanation: Painful, tender nodules. More common in females. The lesions last for about six weeks. Erythema nodosum results in reddish,painful, tender lumps most commonly located in the front of the legs below the knees. ... Chronic erythema nodosum is a condition in which lesions pop up elsewhere, for a period of weeks to months. However, chronic erythema nodosum that may last for years is another pattern. Ref ganong's review of medical physiology 25e